All of the following are acid fast bacteria except:
1. Cryptosporidia
2. Mycoplasma
3. Mycobacteria
4. Nocardia

Correct answer: 2. Mycoplasma

Explanation: Ans. is. 'b' i. e., Mycoplasma